All of the following agents cause gynaecomastia, EXCEPT:
1. INH
2. Cimetidine
3. Digitalis
4. Pyrazinamide

Correct answer: 4. Pyrazinamide

Explanation: Anti Ulcer medications causing gynecomastia: Cimetidine Omeprazole Ranitidine Antibiotics causing gynecomastia: Isoniazid Ketoconazole Metronidazole Cardiovascular drugs causing gynecomastia: Amiodarone Captopril Enalapril Nifedipine Spironolactone Verapamil Digitalis Ref: Braunstein G.D. (2011). Chapter 12. Testes. In D.G. Gardner, D. Shoback (Eds), Greenspan's Basic & Clinical Endocrinology, 9e.